Which one of the following agents inhibits spermatogenesis ?
1. Gelusil
2. Gemcadiol
3. Gestodene
4. Gossypol

Correct answer: 4. Gossypol